All of the following psychotherapy are used to treat anxiety disorder except
1. Systemic desensitization
2. Relaxation techniques
3. Flooding
4. Sensate focus therapy

Correct answer: 4. Sensate focus therapy

Explanation: Sensate focus therapy is used to treat premature ejaculation.